Progesterone is added to estrogens in H to achieve wof effects
1. Decrease the estrogen action on the breast
2. Decrease the occurrence of endometrial cancers
3. Increase the effectiveness of the estrogens
4. Inhibit bone resorption

Correct answer: 2. Decrease the occurrence of endometrial cancers

Explanation: Hormone replacement therapy (H) In nonhysterectomised postmenopausal women estrogen therapy is supplemented with a progestin for 10-12 days each month to counteract the risk of inducing endometrial carcinoma. Ref:- kd tripathi; pg num:-318